A patient presented with thunder clap headache. Followed by unconsciousness with progressive 3rd cranial nerve palsy
1. Extradual hemorrhage
2. Aneurysmal subarachnoid hemorrhage
3. Basilar migraine
4. Cluster Headache

Correct answer: 2. Aneurysmal subarachnoid hemorrhage

Explanation: Harrison's textbook of internal medicine 17th edition . *Sudden transient loss of consciousness may be preceded by brief moment of excruciating head ache ,but most patient first complain of head ache on regain the consciousness . *3rd cranial nerve palsy , associate with pupillary dilatation,loss of ipsilateral light reflex,focal pain above and behind the eye . Ref Harrison20th edition pg 2445